Replacement dose of thyroxine is
1. 0.1 - 0.2 mg
2. 0.3 - 0.4 mg
3. 1 - 2 mg
4. 3 - 4 mg

Correct answer: 1. 0.1 - 0.2 mg

Explanation: • Daily replacement dose of thyroxine: 1.6 μg/Kg body weight (0.1-0.15 gm) .
• For TSH suppression (in PTC and FTC), dose of thyroxine: 2.7 μg/Kg body weight.